Systolic murmur in TOF is due to ?
1. VSD
2. Pulmonary stenosis
3. ASD
4. None

Correct answer: 2. Pulmonary stenosis

Explanation: Ejection systolic murmur in TOF is due to pulmonary stenosis. Ref : Ghai essential of pediatrics, eighth edition, p.no:420